Fatty acids help in synthesis of all except:
1. Glucose
2. Cholesterol
3. Ketone bodies
4. Fat

Correct answer: 1. Glucose